Most common manifestation of ectopic pregnancy is :
1. Vomiting
2. Bleeding
3. Pain abdomen
4. Shock

Correct answer: 3. Pain abdomen

Explanation: Ans. is c i.e. Pain in abdomen Most common and the most consistent symptom of ectopic pregnancy (undisturbed) is Abdominal pain. It is seen in 95-100% cases. Pain is located in the lower abdomen / pelvic region. It can be unilateral or bilateral. In case of ruptured ectopic pregnancy : when internal hemorrhage floods the peritoneal cavity and irritates the undersurface of diaphragm and phrenic nerve, the patient complains of shoulder tip and epigastric pain. Classical triad of symptoms in disturbed tuba! pregnancy is . Amenorrhea (75%) followed by abdominal pain (95-100%) and lastly - vaginal bleeding (70%). Vaginal bleeding is almost always small but persistent and consists of dark altered fluid blood or dark coagulated blood.